Condyloma acuminata is caused by
1. HPV
2. HSV
3. HIV
4. Parvo virus

Correct answer: 1. HPV

Explanation: Condyloma accuminata (syn. genital warts)

Are caused by human papilloma virus that is transmitted by sexual contact.
Early lesion are pink conical papules.
Pink, fleshy pedunculated cauliflower like lesion are seen in advanced cases.
In women, genital warts are most commonly found on the vulva but they may line the vagina and cervix.
Rx:Topical podophyllin (20%) is usually effective. If chemical methods fail, the warts can be excised or they can be ablated with cryosurgery, electrosurgery or laser. Condyloma lata
is a broad & flat syphilitic condyloma located in warm, moist, intertrigenous area, especially about the anus & external genital.
It may become hypertrophic & erode to form a soft red mass with a moist, weeping surface called also flat Condyloma seen mainly in secondary